Larva found in muscle is :
1. Trichinella spiralis
2. Ankylostoma duodenale
3. Trichuris trichura
4. Enterobius vermicularis

Correct answer: 1. Trichinella spiralis

Explanation: Ans is 'a' i.e. Trichinella SpiralisIn Trichinella spiralis -Infection occurs after - ingestion of encysted larva in pork meat. After ingestion cysts travel to small intestine where larva leaves the cyst and mature into mating adults.Following mating female produce thousands of larvae. The larvae then enters blood stream and spread to organs and skeletal muscle. The larvae then become encysted in skeletal muscle where they may last for decades.In Ankylostoma DuodenaleInfection occurs by penetration of larvae through skinLarvae goes into the lung, coughed up, swallowed and goes into the intestine where it matures.There is no stage where larvae goes to muscles.In Trichuris trichuria & Enterobius Vermicularisthere is no tissue invasion at any stage of life cycle in man.Infection occurs by ingestion of eggs through contaminated food. The eggs hatch in GIT and migrate to caecum and ascending large intestine where they mature.